Presence of additional nodal tissue connection “bundle of Kent” results into
1. Stokes-Adam syndrome
2. Wenckeback syndrome
3. Wolff-Parkinson-White syndrome
4. None of the above

Correct answer: 3. Wolff-Parkinson-White syndrome

Explanation: An interesting condition seen in some otherwise normal individuals who are prone to attacks of paroxysmal atrial arrhythmias is accelerated AV conduction (Wolff–Parkinson–White syndrome).
Normally, the only conducting pathway between the atria and the ventricles is the AV node. Individuals with Wolff–Parkinson–White syndrome have an additional aberrant muscular or nodal tissue connection (bundle of Kent) between the atria and ventricles.